B cell prolymphocyte leukemia patients differ from those with B cell chronic lymphocytic leukemia in:
1. Presenting at a younger age
2. Having a lower total leucocyte count
3. Having prominent lymphadenopathy
4. Having a shorter survival

Correct answer: 4. Having a shorter survival

Explanation: CLL usually pursues an indolent course, but B-cell prolymphocytic leukemia which is a subtype behave more aggressively. B-cell prolymphocytic leukemia (B-PLL) is a rare disease, characterized by splenomegaly, no lymphadenopathy, marked lymphocytosis with prolymphocytes exceeding 55% of circulating lymphoid cells, poor response to therapy and short survival. Among the options provided 'Having a shorter interval' is the single best answer of choice. Ref: Principles and Practice of Internal Medicine, 16th Edition, Pages 648, 649, 652; CMDT By Stephen J. McPhee, Maxine A.Papadakis, 2009, Page 454-55.